Cell surface molecules involved in peripheral tolerance induction are
1. B7 and CD28
2. CD40 and CD40L
3. CD34 and CD51
4. B7 and CD3

Correct answer: 1. B7 and CD28

Explanation: Immunological tolerance in peripheral lymphoid organs is called as peripheral tolerance. It requires signal to (interaction between CD28 and B7). CD28 molecules (co-stimulatory molecule) bind to their ligands-CD80 (B7-l) and/or CD86 (B7-2) and activates T-cell. If the antigen presented by cell do not bear CD28 ligand, a negative signal is delivered and cell become tolerant and anergic.